Which one of the anti-tubercular drug may precipitate gout -
1. Pyrazinamide
2. Rifampicin
3. Streptomycin
4. Isoniazid

Correct answer: 1. Pyrazinamide

Explanation: Ans. is 'a' i.e., Pyrazinamide o Pyrazinamide causes hyperuricemia.